Granuloma is pathological feature of all, EXCEPT
1. Giant cell arteritis
2. Microscopic polyangitis
3. Wegner's granulomatosis
4. Churg strauss disease

Correct answer: 2. Microscopic polyangitis

Explanation: . Microscopic polyangitis